The primary form of cortisol in the plasma is that which is
1. Bound to albumin
2. Bound to transthyretin
3. Free in solution
4. Bound to corticosteroid-binding globulin (CBG)

Correct answer: 4. Bound to corticosteroid-binding globulin (CBG)

Explanation: The majority of cortisol is bound to a specific carrier protein, corticosteroid binding globulin (CBG), while smaller amounts are bound nonspecifically to albumin. Few, if any, cortisol receptors would be expected in the plasma and transthyretin binds primarily thyroxine.